Which of the following tests is to be done to screen a lady with family history of thalassemia?
1. Hb A2 Levels
2. NESTROFT
3. High performance liquid chromatography
4. P. smear and reticulocyte count

Correct answer: 2. NESTROFT

Explanation: Ref: Textbook of hematology Dr. Tejender sittgh 2nd ed. P 90-92, Hemoglobinopathies by Atiupam sachdev 1st ed. P 100Initial screening test for diagnosis of b-thalassemia carriers is NESTROFT. The naked eye single tube osmotic fragility test is based on osmotic fragility using 0.36% buffered saline.Procedure* Two test tubes labeled as Buffered saline (2mL) and distilled water 2mL) are taken and a drop of water is added to each of tubes, which is left undisturbed for hall an hour at room temperature. Following this contents ol the tube are shaken and held against a white paper on which a thin black line is drawn.Interpretation* The line is clearly visible through the DW tube and if the same is seen in Buffered saline tube, it indicates that the test is negative.* Thalassemia syndrome is the most common genetic syndrome worldwide.* IOC for thalassemia is HPLC [?] Hb electrophoresis.